Creatinine is formed from:
1. Arginine
2. Lysine
3. Leucine
4. Histamine

Correct answer: 1. Arginine

Explanation: Ans. A. ArginineThree amino acids from which Creatine and creatinine is synthesized are:1. Glycine2. Arginine3. Methionine